Bartholin's gland is located in
1. Ischiorectal fossa
2. Rectovesical pouch
3. Superficial perineal pouch
4. Deep perineal pouch

Correct answer: 3. Superficial perineal pouch

Explanation: The Bartholin's glands are two pea-sized compound racemose glands located slightly posterior and to the left and right of the opening of the vagina. They secrete mucus to lubricate the vagina and are homologous to bulbourethral glands in males. Ref - BDC 6e vol2 pg 393